The drugs w hich achieve concentration in bile are all except -
1. Erythromycin
2. Tetracycline
3. Oral contraceptives
4. Alpha methyldopa

Correct answer: 4. Alpha methyldopa

Explanation: Ans. is 'd' i.e., Alpha methyl dopa Drugs that attain high concentration in bile areo Erythromycino Oral contraceptiveso Rifampino Ampicillino Tetracyclineo Phenolphthalein